Cerebellar connection to other parts of the brain is projected through which cell?
1. Golgi cells
2. Basket cells
3. Purkinje cells
4. Oligodendrocytes

Correct answer: 3. Purkinje cells

Explanation: Ans. C Purkinje cellsRef Gray's, 41sted. pg. 335-336* The axons of purkinje cells are the only output through cerebellar cortex.* However, it should be kept in mind that the output from the cerebellum is through deep nuclei, and purkinje cells axons generally pass to deep nuclei.